Causes of unilateral dysmenorrhea are all except:
1. Rudimentary horn
2. Right ovarian vein syndrome
3. Unicornuate uterus
4. Large fundal fibroid

Correct answer: 4. Large fundal fibroid

Explanation: Ans. is 'd' i.e., Large fundal fibroid * Causes of unilateral dysmenorrhea1) Ovarian Dysmenorrhea (Right ovarian vein syndrome)2) Bicornuate uterus3) Unicornuate uterus4) Rudimentary horn5) Unilateral pelvic endometriosis6) Small fibroid polyp near one cornu